In Nephrotic syndrome hypercoaguability occurs due to-
1. Urinary loss of Antithrombin III
2. Increase in serum protiens-c,s
3. Decrease in serum Fibrinogen
4. Factor vIII

Correct answer: 1. Urinary loss of Antithrombin III

Explanation: Hypercoaguble state in nephrotic syndrome is due to Urine loss of Anithrombin III Hyperfibrinogenemia Decrease in serum protiens c, s Increase in platelet aggregation. Venous complications can occur due to Hypercoaguble state in nephrotic syndrome ,so anticoagulants are given to all patients Ref Harrison 20th edition pg. No. 2142,293